All of the following are well known ototoxic except :
1. Aspirin
2. Acetaminophen
3. Aminoglycosides
4. Loop diuretics

Correct answer: 2. Acetaminophen